Biopsy from a mole on the foot shows cytologic atypia of melanocytes and diffuse epidermal inflitration by anaplastic cells, which are also present in the papillary and reticular dermis. The most likely diagnosis is -
1. Melanoma, Clark level IV
2. Congential melanocytic nevus
3. Dysplastic nevus
4. Melanoma, clark level III

Correct answer: 1. Melanoma, Clark level IV